The drug that should be used for prophylaxis of close contacts of a patient suffering from meningococcal meningitis is
1. Rifampicin
2. Dapsone
3. Erythromycin
4. Amikacin

Correct answer: 1. Rifampicin

Explanation: Ref-KDT 6/e p729 Rifampicin and ciprofloxacin are used for the prophylaxis of meningococcal meningitis